Prolapsed intervertebral disc (PID) is most common at:
1. C2-C3
2. T10-T11
3. L2-L3
4. L4-L5

Correct answer: 4. L4-L5

Explanation: Ans. D i.e. L4-L5